Bird beak appearance on barium swallow study in seen in -
1. Achlasia cardia
2. Carcinoma esophagus
3. Hiatus hernia
4. Diffuse esophageal spasm

Correct answer: 1. Achlasia cardia

Explanation: Ans. is 'a' i.e., Achlasia cardia o ''Bird beak appearance on barium study is seen in achlasia cardia.Important esophageal signsSignConditionRat tail appearance of esophagus MaharashtraEsophageal carcinomaMegaesophagus (sigmoid esophagus)"Bird beak" appearanceHurst phenomenonAchalasia cardiaYo-Yo motion of barium "Corkscrew" appearance(esophageal curling)Rosary-bead/sheikh kebab configurationChain of bead appearanceDiffuse esophageal spasm